True statements about P53. gene are all except -
1. Arrest cell cycle at G1 Phase
2. Product is 53 KD protein
3. Located on chromose 17
4. Wild\/non-mutated form is associated with in-creased risk of child-hood tumors

Correct answer: 4. Wild\/non-mutated form is associated with in-creased risk of child-hood tumors

Explanation: Robbins and Cotran pathologic basis of disease South Asia edition. P53 gene located on short arm of chromosome 17 is also termed TP53 because of molecular weight of 53kd for the protein. P53 inhibits the cyclins and CDKs and prevent the cell to enter G1 phase transiently. .